Occlusal fossa of the primary crown is
1. shallower than the permanent
2. deeper than the permanent
3. same as permanent
4. can be 1 or 2.

Correct answer: 1. shallower than the permanent

Explanation: Since the thickness of the covering of pulp(enamel and dentin) is less in primary crown, then fossa will be shallower.
PULP
(PULP CHAMBER ANATOMY IN BOTH PRIMARY AND PERMANENT TEETH CLOSELY APPROXIMATES THE SURFACE SHAPE OF THE CROWN)